Spongiosis is seen in –
1. Acute eczema
2. Lichen planus
3. Psoriasis
4. Pemphigus

Correct answer: 1. Acute eczema